Child (girl) is suffering from varicella (fever rash). And child\'s aunt is pregnant. When is it earliest that the child can meet her aunt –
1. When the lesions have crusted
2. Immediately
3. Anytime as the child is aunt's favourite
4. After the delivery of the baby

Correct answer: 1. When the lesions have crusted

Explanation: Varicella Zoster (chicken pox) is a highly contagious disease, a centripetal, pleomorphic rash appearing on the first day of the illness and a relatively short course of illness.
The crusts from chicken pox lesions don’t contain viable virus and are therefore not infective. Period of infectivity range from a day prior to the illness and up to 5 days after the onset. Children with chickenpox are removed from school or daycare centres for 6 days after the appearance of the rash.